A feeling of detachment from own body and a sense of unreality is called as:
1. Depersonalisation
2. Derealisation
3. Dissociation
4. Trance

Correct answer: 1. Depersonalisation

Explanation: In depersonalization patient has a feeling of unreality of self. He feels "as if" he has changed. The patient frequently report that they feel as if they have detached from their body and are watching themselves like in a movie.